Which of the following is a contraindication to receiving the live rubella vaccine?
1. children between 1 year old and puberty
2. infants < 1 year old
3. all adults
4. pregnant women

Correct answer: 4. pregnant women

Explanation: Pregnancy or anticipated pregnancy within 4 weeks of vaccination is a contraindication to receiving the rubella vaccine. There is a theoretical concern that fetus might develop congenital rubella syndrome from the live attenuated virus used for the vaccine. Vaccination is usually given to children combined with measles and mumps vaccine between 12 and 15 months of age, and then repeated during childhood at age 4-6 years. It is given even to children with HIV infection. Infants < 1 year old can be given the vaccine but may not develop adequate immunity and should still be given the recommended two doses.